In Caveola, the Caveolin molecule is attached to inner layer of plasma membrane by -
1. Desmin
2. Dynanin
3. Clathrin
4. Cavin

Correct answer: 4. Cavin

Explanation: Ans. is'd'i.e., Cavin Caveolae are small flask-shaped depressions in the cell membrane.They are considered to be specialized forms of lipid rafts.They are formed when Caveolin proteins embed in the phospholipid bilayer of the membrane and distort it so that forms small flask-like pits.Caveolae are produced at the Golgi apparatus when Caveolin joins together in small groups (oligomers) and binds to cholesterol.These vesicles move to the cell surface and merge with the cell membrane.Here Cavin-l allow caveolir-l to interact with cell membrane to form Caveolae.